Peripheral eosinophilia is not a characteristic feature of-
1. Hypersensitivity pneumonitis
2. Allergic aspergillosis
3. Tropical eosinophilia
4. Loeffler's syndrome

Correct answer: 1. Hypersensitivity pneumonitis